An investigator concluded that the presence or absence of five factors determines the disease condition. Which of the following would be most appropriate next study to determine if any of these five factors are independent precursors of the disease?
1. Multiple linear regression analysis
2. Multiple logistic regression analysis
3. Analysis of variance (ANOVA)
4. Kruskal-Wallis Analysis of ranks

Correct answer: 2. Multiple logistic regression analysis